Dendrites in cast alloys form by mechanism of
1. constitutional superconductivity
2. constitutional supercooling
3. constitutional supergriting
4. constitutional supergraining

Correct answer: 2. constitutional supercooling